Drug of choice for status epilepticus is:-
1. Valproate
2. Phenytoin
3. Lorazepam
4. Carbamazepine

Correct answer: 3. Lorazepam

Explanation: Seizure First-Line drugs Alternatives 1. GTCS Valproate (DOC) Lamotrigine Phenytoin Carbamazepine Oxcarbazepine Topiramate Felbamate Barbiturates 2. Focal Carbamazepine (DOC) Lamotrigine Phenytoin Levetiracetam Most other drugs except ethosuximide and benzodiazepines 3. Absence Valproate (DOC) Ethosuximide Lamotrigine Clonazepam 4. Myoclonic Atonic Valproate (DOC) Lamotrigine Topiramate Clonazepam Clobazam Felbamate Rufinamide 5. Infantile spasms ACTH (DOC) Vigabatrin Corticosteroids 6. Febrile Diazepam 7. Status epilepticus Lorazepam Diazepam 8. Lennox-Gastaut Syndrome Valproate (DOC) Rufinamide Clobazam Felbamate Lamotrigine Topiramate 9. Eclamptic seizures Magnesium sulphate